Children in the primary dentition most often present with
1. An increased overbite
2. A decreased overbite
3. An ideal overbite
4. A significant open bite

Correct answer: 2. A decreased overbite

Explanation: Young children often present with minimal overbite or anterior edge-to-edge relationship. Habits such as thumb-sucking increase the likelihood that less overbite will be present.